In posterior dislocation of elbow, most prominent part-
1. Coronoid
2. Radialhead
3. Olecranon
4. None

Correct answer: 3. Olecranon

Explanation: Ans. is 'c1 i.e.. Olecranon o There is exaggrated prominence of the Olecranon,o In posterior elbow dislocation, elbow is flexed with exaggerated prominence of the olecranon.Dislocation of elbowo Dislocation of the elbow is usually caused by a heavy fall onto the outstretched hand.o The dislocation is nearly always posterior or posterolateral, i.e., radius & ulna are displaced backward or backward & laterally, relative to humerus.o There may be an associated fracture of the coronoid process of the ulna, or of the radial head, capitulum or medial epicondyle.Clinical presentationo Severe pain in elbow writh gross restriction of movement.o Bowstring sign or Bowstringing of triceps : - Triceps tendon becomes prominent,o The three bony point relationship is reversed and olecranon is above the intercondylar line,o Elbow is flexed, w ith an exaggerated prominence of olecranon.Treatmento Closed reduction under anaesthesia followed by immobilization in above elbow slab in 90deg of flexion for 3 weeks is the treatment of choice.o If closed reduction is failed, open reduction is indicated.Complicationso Complications are common and may be divided into early and lateEarly complicationsVascular injury :- Brachial artery may injured. It may result in compartment syndrome and Volkmann's ischemic contracture.Nerve injury:- Median and ulnar nerve injuryLate complicationsStiffnessMyositis ossificansUnreduced dislocationRecurrent dislocation